Morphological stages of tooth development are explained based on:
1. Shape of enamel organ
2. Shape of tooth germ
3. Functions of enamel organ
4. Shape of dental papilla

Correct answer: 1. Shape of enamel organ

Explanation: Morphological stages of tooth development, i.e. bud, cap and bell stage are named after the shape of enamel organ.